Carpal bone which fractures commonly:
1. Scaphoid
2. Lunate
3. Hamate
4. Pisiform

Correct answer: 1. Scaphoid